Plasma cell gingivitis is seen in individuals having the habit of chewing which of the following types of flavoured chewing gum?
1. Peppermint flavoured
2. Clove flavoured
3. Cinnamon flavoured
4. Banana flavoured

Correct answer: 3. Cinnamon flavoured